Most Basic amino acid is
1. Lecuine
2. Istidine
3. Arginine
4. Glutamic acid

Correct answer: 3. Arginine

Explanation: (C) Arginine # Aminoacid can be acidic, basic or neutral depending up on their side chain.> The lower the Pka of the R gp, the more acidic will be the amino acids, so aminoacid with the highest Pka of the RGP will be most basic.Basic Amino AcidPka of 'R' group* Arginine12.5* Lysine10.8* Histidine6.0